Foramen spinosum transmits
1. Lateral petrosal nerve
2. Middle meningeal artery
3. Mandibular nerve
4. Maxillary nerve

Correct answer: 2. Middle meningeal artery

Explanation: (B) Middle meningeal artery > The foramen spinosum transmits the middle meningeal artery, the meningeal branch of the mandibular nerve (nervus spinesus) & the posterior trunk of the middle meningeal vein.> The foramen spinosum transmits the middle meningeal artery, the meningeal branch of the mandibular nerve (nervus spinesus) & the posterior trunk of the middle meningeal vein.